All are seen in morphine poisoning except -
1. Cyanosis
2. Pinpoint pupil
3. Hypertension
4. Respiratory depression

Correct answer: 3. Hypertension

Explanation: Manifestations of morphine poisoning:- Bradycardia, hypotension, shallow breathing, hypothermia, pinpoint pupil, cyanosis, flaccidity, stupor, coma, convulsions, shock. Death is due to respiratory depression.